Not a branch of celiac trunk
1. Left gastric artery
2. Common hepatic artery
3. Superior mesenteric artery
4. Splenic artery

Correct answer: 3. Superior mesenteric artery

Explanation: (C) Superior mesenteric artery # SUPERIOR MESENTERIC ARTERY (SMA) arises from the anterior surface of the abdominal aorta, just inferior to the origin of the celiac trunk, and supplies the intestine from the lower part of the duodenum through two-thirds of the transverse colon, as well as the pancreas.> The coeliac trunk is the first anterior branch and arises just below the aortic hiatus at the level of T12/L1 vertebral bodies.> It divides into the left gastric, common hepatic and splenic arteries. The coeliac trunk may also give off one or both of the inferior phrenic arteries.